A 3 year old child presents with four days history of puffiness of face, fever and tea coloured urine. During the course of his disease, he can have any of the complications except-
1. Hypokalemia
2. Hypertensive encephalopathy
3. Acute renal failure
4. Acidosis

Correct answer: 1. Hypokalemia

Explanation: Ans. is 'a' i.e., Hypokalemia It is a case of acute nephritic syndrome which can result in ARF. In ARF there is hyperkalemia (not hypokalemia) and acidosis. Acute nephritic syndrome is also characterized by hypertension, So hypertensive encephalopathy may also occur.